ACE inhibitors are contraindicated in:
1. Hypertension
2. Myocardial infarction
3. Renal artery stenosis
4. Left ventricular dysfunction

Correct answer: 3. Renal artery stenosis

Explanation: Ans. C: Renal Artery Stenosis Renal artery stenosis is the narrowing of the renal artery, most often caused by atherosclerosis or fibromuscular dysplasia, impeding the blood flow to the target kidney. Diagnosis of renal artery stenosis: Refractory hypertension - high blood pressure that cannot be controlled adequately with antihypertensives Auscultation reveals a bruit ("rushing" sound) on affected side, inferior of the costal margin Captopril challenge test Captopril test dose effect on the differential renal function as measured by MAG3 scan. Renal artery arteriogram Deterioration in renal function may develop if both kidneys are poorly supplied, or when treatment with an ACE inhibitor is initiated. Hence ACE inhibitors are contraindicated in renal artery stenosis.